Treatment of choice of a linear non-displaced fracture of the body of the mandible, with full compliment of teeth is
1. Kirschner wire
2. Circumferential wiring
3. External pin fixation
4. Inter dental. fixation

Correct answer: 4. Inter dental. fixation